Major contribution to cachexia with advanced cancer-
1. Clathrin
2. Histamine
3. Nutritional demands of cancer
4. Tumor-necrosis-factor (TNF)

Correct answer: 4. Tumor-necrosis-factor (TNF)

Explanation: Cachexia is not caused bu nutritional demands of the tumor. It is suspected that TNF produced by macrophages in response to tumor cells or by the tumor cells them self mediate cachexia. TNF mobilize fat from tissue stores and suppress appetite. ROBBINS